Laryngomalacia is characterized by:
1. Usually present at about the age of 5 years
2. Biphasic stridor
3. Elongated epiglottis with thin aryepiglottic folds on laryngoscopy
4. Best treatment by epiglottectomv

Correct answer: 3. Elongated epiglottis with thin aryepiglottic folds on laryngoscopy

Explanation: Ans: C (Elongated epiglottis with thin aryepiglottic folds on laryngoscopy) Ref: Diseases of the Ear Nose and Throat by PL Dhingra.5th edn .20I0.pg314Explanation:LaryngomalaciaDue to excessive flaccidity of the supraglottis which gets sucked in during inspirationMost common congenital cause for stridorPresents soon after birth and disappears by 2 years of ageThere is inspiratory stridor which worsens on crying and decreases on lying supineO/E long elongated omega shaped epiglottis with elongated and floppy aryepiglottic folds and prominent arytenoidsTreatment is mostly conservative and reassuranceSevere cases may require surgery like epiglo- ttoplasty. supraglottoplasty